Extracranial complications of CSOM -a) Epidural abscessb) Facial nerve palsyc) Hearing lossd) Labyrinthitise) Sigmoid sinus thrombosis
1. c
2. d
3. bd
4. ac

Correct answer: 3. bd